HLA associated with Dermatitis herpetiformis is
1. HLA A5
2. HLA B27
3. HLA B8
4. HLA A28

Correct answer: 3. HLA B8

Explanation: Ref:- Sima Jain; pg num:- 25